'Favus' is caused by?
1. T. schoenleinii
2. T. microsporum
3. Epidermophyton
4. Candida tropicalis

Correct answer: 1. T. schoenleinii

Explanation: Favus Favus is an inflammatory type of Tinea capitis Commonest causative agent T. schoenleinii. Inflammatory (kerion, us) causing scarring/cicatricial alopecia Kerion common in children Tender boggy swelling over scalp, easily pluckable hair and enlarged lymphnode.(causative agent: T. mentagrophyte or T. verrucosum) DOC: Trichophyton - Terbinafine Microsporum spp -griseofulvin